Which of the following opioid has local anaesthetic property-
1. Tramadol
2. Meperidine
3. Fentanyl
4. Morphine

Correct answer: 2. Meperidine

Explanation: Unique among the commonly used opioids, meperidine has minor local anaesthetic qualities. Clinical use of meperidine Analgesia during labour and delivery and after surgery Most effective drug in suppressing post-operative shivering because of its effect on m and k receptor a2 agonist